Epimers of glucose ?
1. Mannose
2. Glyceraldehyde
3. Fructose
4. None

Correct answer: 1. Mannose

Explanation: Ans. is 'a' i.e., Mannose Repeat from previous sessions. See expalanation-13 of session-4.